Hippocampus lesion:
1. Affects memory transformation from short term to long term
2. Affects remote memory
3. Affects implicit memory
4. Affects working memory

Correct answer: 1. Affects memory transformation from short term to long term

Explanation: ANSWER: (A) Affects memory transformation from short term to long termREF: Ganong's Review of Medical Physiology 22nd ed chapter 15Working memory areas are connected to the hippocampus and the adjacent parahippocampal portions of the medial temporal cortex. In humans, bilateral destruction of the ventral hippocampus, or Alzheimer's disease and similar disease processes that destroy its CA1 neurons, cause striking defects in short-term memory. So do bilateral lesions of the same area in monkeys.Humans with such destruction have intact working memory and remote memory. Their implicit memory processes are generally intact. They perform adequately in terms of conscious memory as long as they concentrate on what they are doing. However, if they are distracted for even a very short period, all memory of what they were doing and what they proposed to do is lost. They are thus capable of new learning and retain old prelesion memories, but they cannot form new long-term memories.